Falx cerebri contains-
1. Straight sinus
2. Occipital sinus
3. Transverse sinus
4. None

Correct answer: 1. Straight sinus